Using occlusal morphology as guide, the Mandibular third molar is most similar to:
1. Maxillary permanent first molar
2. Mandibular permanent first molar
3. Mandibular permanent second molar
4. Mandibular deciduous second molar

Correct answer: 3. Mandibular permanent second molar